Hibernating myocardium is
1. irreversible
2. Recovery is spontaneous
3. Seen in chronic severe coronary stenosis
4. Mismatch between flow and function

Correct answer: 3. Seen in chronic severe coronary stenosis

Explanation: Hibernating myocardium refers to a state of chronic reversible myocardial contractile dysfunction,  that is almost completely restored after myocardial repercussion. Recovery  occurs after revascularization,  not spontaneous. Acute coronary occlusion results in stunned myocardium.  Whereas chronic occlusion  results in hibernating myocardium.